Punishment for culpable homicide not amounting to murder is covered under
1. Sec 269 IPC
2. Sec 304 IPC
3. Sec 300 IPC
4. Sec 302 IPC

Correct answer: 2. Sec 304 IPC

Explanation: Refer the byte "Legal sections".